Not a site of hematpoiesis in fetus -
1. Kidney
2. Liver
3. Spleen
4. Yolk sac

Correct answer: 1. Kidney

Explanation: Ans. is 'a' i.e., Kidney Erythropoies siteso Intrauteriney 0-10 weeksy 10 weeks - 5 monthsy 5 month onward-Yolk sac-Liver (maj or organ) and spleen- Bone marrowo After birthUpto 20 years - Bone marrow of all bonesAfter 20 years - Flat bones of axial skeletal and proximal end of humerus and femur.